A pt. presents with meiotic pupil of size 2 mm in diameter IOP is 25 mm of Hg. Cornea is hazy. AC is shallow in fellow eye, most probable diagnosis is:
1. Acute congestive glaucoma
2. Acute anterior uveitis
3. Chronic simple glaucoma
4. Endopthalmitis.

Correct answer: 2. Acute anterior uveitis

Explanation: B i.e. Acute anterior uveitis